Tumor appears at the earliest after birth.
1. Cystic hygroma
2. Branchial cyst
3. Lymphoma
4. Sternomastoid tumor

Correct answer: 1. Cystic hygroma

Explanation: Ans. (a) Cystic hygromaRef: Bailey and Love 26th edition, Page700* Earliest swelling one can note in human beings in Cystic Hygroma.* It can present as obstructed labor